IL-1 is activated by
1. Caspase 1
2. Caspase 3
3. Caspase 5
4. Caspase 8

Correct answer: 1. Caspase 1

Explanation: * Pyroptosis is associated with release of cytokine IL 1 * Microbial products that enter the cytoplasm of the cell are recognised by cytoplasmic immune receptors and activates a multiprotein complex called INFLAMMASOME * Inflammasome will activate CASPASE 1 (also called Interleukin 1 beta converting enzyme) and releases the active form of IL 1 * Several NORs (NOD like receptor) signal INFLAMMASOME * Gain of function in NLR can cause periodic fever syndromes called AUTO INFLAMMATORY SYNDROMES * They respond to IL-1 antagonists * IL 1 activates fibroblasts to synthesize collagen and stimulates the proliferation of mesenchymal cells * IL 1 also stimulates Th17 responses * Initiator caspase in Intrinsic pathway of apoptosis - IL 9 * Initiator caspase in Entrinsic pathway of apoptosis - IL 8, 10 * Executioner caspase of apoptosis IL 3 & IL 7 Ref:- Robbins Basic Pathology 9th Edition; Pg num:- 59,86,188